Treatment of choice in recurrent epistaxis in a patient with hereditary hemotelangiectasis:
1. Anterior ethmoidal artery ligation
2. Septal dermatoplasty
3. External carotid artery ligation
4. Internal carotid artery ligation

Correct answer: 2. Septal dermatoplasty

Explanation: Hereditary hemotelangiectasia (HHT) or Osler-Weber-Rendu disease is an autosomal dominant condition affecting blood vessels in the skin, mucous membranes and viscera The genetic abnormality is located to chromosome 9 and 12 Classical features: Telangiectasia AN malformations Aneurysms Recurrent epistaxis (seen in 93% cases)